What is true about Salter-Harris type IV epiphyseal injury:
1. Fracture occur through growth plate only
2. Fracture occur through growth plate & metaphy- sis only
3. Fracture occur through growth plate, metaphysic & epiphysis
4. Fracture occur through epiphysis only

Correct answer: 3. Fracture occur through growth plate, metaphysic & epiphysis

Explanation: Ans: C (Fracture occur through growth plate, metaphysic & epiphysis) SALTER~HARRIS FRACTURES http://wwwlbpt.bridgeport.edu/-gwl/salter-barrisdassification.htmThere are nine types of Salter-Harris fractures; types 1 to V as described by Robert B Salter and W Robert Harris in 1963, and the rarer types V! to IX which have been added subsequently:Type I - A transverse fracture through the growth plate (also referred to as the "physis"): 6% incidenceType II - A fracture through the growth plate and the metaphysis, sparing the epiphysis: 75% incidence, takes approximately 2-3 weeks to heal.Type III - A fracture through growth plate and epiphysis, sparing the metaphysis: 8% incidenceType IV - A fracture tb rough all three elements of the bone, tbegrowth plate, metaphysis, and epiphysis: 10% incidenceType V - A compression fracture of the growth plate (resulting in a decrease in the perceived space between theepiphysis and diaphysis on x-ray): 1% incidenceType VI -Injury to the peripheral portion of the physisand a resultant bony bridge formation which may produce an angular deformity (added in 1969 by Mercer Rang)Type VII - Isolated injury of the epiphyseal plate (VII--IX added in 1982 by JA Ogden)Type VIII - Isolated injury of the metaphysis with possible impairment of endochondral ossificationType IX - Injury of the periosteum which may impair intramem bra nous ossificationThe mnemonic "SALTR" can be used to help remember the first five types: This mnemonic requires the reader to imagine the bones as long bones, with the epiphyses at the base,I - S = Slip (separated or straight across), Fracture of the cartilage of the physis (growth plate)II - A = Above. The fracture lies above the physis, or Away from the joint.III - L = Lower. The fracture is below the physis in the epiphysis.IV - TE = Through Everything. The fracture is through the metaphysis, physis, and epiphysis.V - R = Rammed (crushed). The physis has been crushed, (alternatively SALTER can be used for the first 6 types - as above but adding Type Vr 'E' for Everything or Epiphysis and Type VI'R' for Ring)Fig: Types of Salter-Harris fractures